Moribund patient, triage color -
1. Red
2. Black
3. Yellow
4. Green

Correct answer: 2. Black

Explanation: - triage consists of rapidly classifying the injured on the basis of severity of their injuries and the likelihood of their survival with prompt medical intervention. - black colour triage is for moribund or dead patients. Reference: Park's textbook of preventive and social medicine, 23rd edition, pg no: 796